Rate limiting step in facilitated diffusion?
1. Availability of contransport
2. Conformational change in transporter
3. Synthesis of carrier protein
4. Polarization of solute

Correct answer: 2. Conformational change in transporter

Explanation: Ans. is'b'i.e., Conformational change in transporter(Ref: Essentials of membrane Biophysics p. 25I).The relative slowness of the rate constant for conformational change reorienting the Solute-unoccupied transporter (Step-4) makes it the rate-limiting step in the process of facilitated diffusion.